Normal partogram include the following except :
1. Cervical dilatation in X - axis
2. Descent of head in Y - axis
3. Sigmoid shaped curve
4. Alert line followed 4 hours later by action line

Correct answer: 1. Cervical dilatation in X - axis

Explanation: Cervical dilatation in X - axis